Otoacoustic emissions arise from which of the following structure of the inner ear?
1. Inner hair cells
2. Outer hair cells
3. Both inner and outer hair cells
4. Organ of Corti

Correct answer: 2. Outer hair cells

Explanation: Otoacoustic emissions result from the spontaneous motion of outer hair cells or from other actions of the active processes associated with outer hair cell motility. These emissions are used to access the viability of the cochlea and are used as a non invasive measure of hearing function, especially in infant hearing screening programmes.